In a post menopausal woman with ER positive breast cancer most appropriate drug would be -
1. Aromatase inhibitor
2. Tamoxifen
3. Herceptin
4. Flutamide

Correct answer: 1. Aromatase inhibitor

Explanation: Ans. is 'a' i.e., Aromatase inhibitor Adjuvant hormone therapy (tamoxifen) is added to all those with estrogen receptor positive.o The use of chemotherapy in post-menopausal women is controversial.# In post menopausal women, chemotherapy is frequently used upto age 70 yrs, if she can tolerate it.# In older women, chemotherapy is performed less frequently.o In estrogen positive tumors, in postmenopausal women, antiestrogen (aromatase inhibitors) therapy is the preferred form of adjuvant systemic treatment.